Which line of death certificate represent major antecedent cause of death -
1. Ia
2. Ib
3. Ic
4. II

Correct answer: 3. Ic

Explanation: Ans. is 'c' i.e., Ic International death certificate The basis of mortality data is death certificate. For ensuring national and international comparability, it is necessary to have a uniform and standardized system of recording and classifying deaths. For this purpose WHO has recommended international death certificate. Consist of four lines: Line Ia: Disease or condition directly leading to death Line Ib: Antecedent/ underlying cause Line Ic: Main antecedent / underlying cause Line II: Other significant conditions contributing to death but not related to disease/ condition causing it Example of a death certificate: Line Ia: Renal failure Line Ib: Diabetic nephropathy Line Ic: Diabetes mellitus Line II: Hypertension Concept of underlying cause, Line Ic is the most important line in death certificate, thus also known as `Essence of Death Certificate'.